Mechanism of action of dantroline is?
1. Inhibits Ca++ secretion from sarcoplasm
2. Binds to ryanodine receptors to block release of Ca++
3. Inhibits GABA
4. Inhibits Gamma motor neuron

Correct answer: 2. Binds to ryanodine receptors to block release of Ca++

Explanation: Ans. (b) Binds to ryanodine receptors to block release of Ca++Ref: Lippincott 5thed 344